Gemtuzumab acts against :
1. CD11a
2. CD22
3. CD33
4. CD45

Correct answer: 3. CD33

Explanation: Gemtuzumab used in the treatment of AML, is a monoclonal antibody against CD33.